Psoralen + ultraviolet light (PUVA) therapy is useful in the treatment of:
1. Psoriasis
2. Vitiligo
3. Mycosis fungoides
4. All

Correct answer: 4. All

Explanation: D. i.e. All